A tangled mass of hyphae is
1. Conidia
2. Molds
3. Pseudopodia
4. Mycelium

Correct answer: 4. Mycelium

Explanation: Mycelium-a tangled mass of hyphae.
Fungi which form mycelia are called moulds.